A 5 year old girl presents with hypertension and virilization. There is also finding of hypokalemia what is the diagnosis
1. 21-hydroxylase deficiency
2. 3-ss hydroxy steroid deficiency
3. 11-ss hydroxylase deficiency
4. Conn's disease

Correct answer: 3. 11-ss hydroxylase deficiency

Explanation: Because 11 beta -hydroxylase defficiency may cause an impairment in the conversion of Deoxycorticosterone to Corticosterone.These may leads to the symptoms. Reference: OP Ghai,essential paediatrics ,8th edition page no 527 fig 17.11